Fructose intolerance is due to deficiency of?
1. Aldolase B
2. Fructokinase
3. Triokinase
4. Aldolase A

Correct answer: 1. Aldolase B

Explanation: Ans. is 'a' i.e., Aldolase B DiseaseDificient enzymesEssential fructosuriaFructokinaseHereditary fructose intoleranceAldolase-BGalactosemiaGalactose-1-phosphate uridyl transferase (most common), Galactokinase UDP-galactose-4-epimeraseLactose intoleranceLactase (b-galactosidase)Essential pentosuriaL-xylulose dehydrogenase (xylulose reductase)